During suction evacuation in MTP the negative pressure of suction should be :
1. 100 to 200 mm Hg
2. 200 to 300 mm Hg
3. 400 to 600 mm Hg
4. 700 to 900 mm Hg

Correct answer: 3. 400 to 600 mm Hg

Explanation: 400 to 600 mm Hg